In alcoholic liver disease, which of the following pigments deposited in the hepatocytes -
1. Hemosiderin
2. Hemoglobin
3. Lipofuscin
4. Melanin

Correct answer: 1. Hemosiderin

Explanation: Ans. is 'a' i.e., Hemosiderin